Width of the periodontal ligament is least at
1. Cervical third
2. Apical third
3. Fulcrum of rotation
4. It has uniform width

Correct answer: 3. Fulcrum of rotation